Most common site of Brain metastasis is?
1. Lung cancer
2. Head and neck cancer
3. Prostate cancer
4. Breast cancer

Correct answer: 1. Lung cancer

Explanation: Ref: Bailey and Love 26th edition, P 614The leading cause of brain metastasis is lungs > Breast>MelanomaTissue of origin for brain metastases (approximate).OriginPercentageLung40Breast15Melanoma10Renal/GU10Other Unknown25